Which of the following is not a premalignant condition oral cancer-
1. Leukoplakia
2. Erythroplakia
3. Oral submucous fibrosis
4. Systemic Sclerosis

Correct answer: 4. Systemic Sclerosis

Explanation: Ans. is 'd' i.e., Systemic Sclerosis Lesions with increased risk of malignancy in oral cancero Premalignant condition:- Leukoplakia, Erythroplakia, Speckled erythroplakia, chronic hyperplastic candidiasiso Conditions increasing risk:- Oral submucous fibrosis, syphilitic glossitis, sideropenic dysphagia (Peterson Kelly syndrome).o Risk is doubtful:- Oral lichen planus, DLE, Dyskeratosis congenita.